The incidence of mental illness is the maximum if the causal factors affect a particular period –
1. Perinatal period
2. First five years of life
3. School age
4. Adolescence

Correct answer: 2. First five years of life

Explanation: The root of mental health are in early childhood (first 5 years of life) - Park
Other crucial period for mental illness : -


Pregnancy (Prenatal period)
School age
Adolescence
Old age